Which of the following manifestations is not a clinical manifestation of parvovirus infection?
1. Erythema infectiosum
2. Polyarthropathy
3. Pure Red Cell aplasia
4. Tropical sprue

Correct answer: 4. Tropical sprue